Low calcium and high phosphate is seen in:
1. Hyperparathyroidism
2. Hypoparathyroidism
3. Hyperthyroidism
4. Hypothyroidism

Correct answer: 2. Hypoparathyroidism

Explanation: Answer is B (Hypoparathyroidism): Hypoparathyroidism. Condition PTH Calcium Phosphate 25 OHO 1'25 (OH)2 D3 PTH Infusion Alhrights (Active Vit D3) Response Osteodystrophy Hypoparathyroidism Low Low High Normal Low Normal No Albrights Osteodystrophy seen in Pseudo-hypopahyroidism Hypoparathyroidism (Low calcium, High phosphate, Low 1, 25 Dihydroxycholecalciferol). Hypoparathyroidism is a disorder of mineral metabolism caused by diminished secretion of PTH from the parathyroid glands. Hvpocalcemia results from decreased mobilization of calcium from bone, and reduced renal reabsorption of calcium (Direct effect) In addition, PTH deficiency results in impairment of renal 25 (OH) D-1-hydroxylase activity which limits serum calcitriol concentration and thereby diminishes gastrointestinal calcium absorption (Indirect effect) Hyperphosphatemia results from increased phosphate reabsorption from the kidneys (PTH normally, acts on the kidneys to reduce phosphate reabsorption) Reduced 1, 25 Dihydroxycholecalciferol (Active Vitamin D) is seen as PTH is involved in the activation of 25 Hydroxy-cholecalciferol to 1, 25 Dihydroxy-cholecalciferol in the kidney.